Inheritance of hereditary multiple exostoses
1. Autosomal dominant
2. Autosomal recessive
3. X-linked recessive
4. Mitochondrial

Correct answer: 1. Autosomal dominant

Explanation: Answer- A. Autosomal dominant Hereditary multiple exostoses is characterized by multiple osteochonilromas which cause limb deformities, skeletal abnormalities, short stature, nerve compression and decreased joint range of motion.It is inherited as autosomal dominant disorder due to mutation in EXT 1 or EXT2 gene.